The success of FPD is depended upon :
1. The material used.
2. Degree of tissue contact.
3. Both.
4. None.

Correct answer: 3. Both.